Testicular hypoechoic mass with back pain in a patient of age 30 years. Best tumor marker?
1. AFP
2. Calcitonin
3. CA 19-9
4. CEA

Correct answer: 1. AFP

Explanation: Ans. (a) AFPRef: Campbell 11th Edition, Page 790* Seminomas occurs at a later age (40 years) compared to non seminomas (<40 years)* Non seminomatous tumors appear as Hypoechoic mass lesion in Testis.* Chevasu maneuver is the method of taking biopsy (Trans-scrotal biopsy is contraindicated)* Tumor markers for Non seminomatous tumors are - AFP and HCG.